Disinfectants used for blood spills-
1. Phenol
2. Glutaraldehyde
3. Ethanol
4. Sodium hypochlorite

Correct answer: 4. Sodium hypochlorite

Explanation: Ans. is `d' i.e., Sodium hypochlorite